Renal replacement therapy replaces all except -
1. Endocrine function
2. Urine output
3. Blood biochemistry
4. Ultrafiltration

Correct answer: 1. Endocrine function

Explanation: Renal replacement therapy does not replace the endocrine and metabolic functions of the kidney . It maintains plasma biochemistry (uraemic toxins, electrolytes acid base) It also removes fluid from the circulation (ultrafiltration) to maintain the plasma volume. Ref Harrison20th edition pg 290